All of the following are the indications for myomectomy in a case of fibroid uterus except
1. Associated infertility
2. Recurrent pregnancy loss
3. Pressure symptoms
4. Red degeneration

Correct answer: 4. Red degeneration

Explanation: Ans. is d, i.e. Red degenerationRef: Shaw 15th/ed p360-2; Jeffcoat's 7th/ed p502From the given options the answer is quite obvious as red degeneration of fibroid is managed conservatively not by any surgery. But let us look at other options also.Indication of myomectomy: Myomectomy is specifically indicated in an infertile woman, in recurrent abortions and patients with symptomatic fibroid but desirous of bearing child and wishing to retain the uterus.Thus, option a and b are ruled out. As far as pressure symptoms are concerned, it means fibroid is symptomatic and all symptomatic fibroids need surgical management which could either be myomectomy or hysterectomy.